Commonest malignancy in renal transplant recipient is
1. Skin cancer
2. Renal cell carcinoma
3. Non hodgkins lymphoma
4. Hodgkins lymphoma

Correct answer: 1. Skin cancer

Explanation: Cancers seen in renal transplant recipients in decreasing order are:

Skin cancer > Lymphoma > Kaposi's Sarcoma > Ca Cervix > Renal tumors > Ca Vulva & perineum.